Dopamine agonist used in diabetes
1. Metformin
2. Bromocriptine
3. Cabergoline
4. Vanadium salts

Correct answer: 2. Bromocriptine

Explanation: Bromocriptine and cabergoline are dopamine agonists but bromocriptine usage in type 2 diabetes is approved.It has an interesting mechanism of action by inhibiting the dopamine dip that causes in early morning leading to hyperglycemia. Ref: Goodman and Gillman 13th ed